Thermafil GP is sterilized by:
1. 5.25%  NaOCl for 1 min. then rinsing with 70% alcohol .
2. 5.25% NaOCl for 30 second only
3. 5.25% NaOCl for 1 min. then rinsed in 50% alcohol.
4. 5.25% NaOCl for 1 minute only.

Correct answer: 1. 5.25%  NaOCl for 1 min. then rinsing with 70% alcohol .

Explanation: “The Thermafiil GP carrier is disinfected with 5.25% NaOCl for 1 minute and then rinsed in 70% alcohol".